Which anti-glaucoma drug can be used in an asthmatic patient?
1. Timolol
2. Betaxolol
3. Propanolol
4. All

Correct answer: 2. Betaxolol

Explanation: Ref: KD Tripathi pharmacology 6th edition (page.no: 144) Betaxolol is b1 selective blocker offering the advantage of less bronchopulmonary and probably less cardiac, central and metabolic side effects. In addition, it may exert a protective effect on retinal neurones independent of I.O.T lowering, possibly by reducing Na+ /Ca+ influx. Propanolol and Timolol are-selective b blockerS(b1 &b2). So b2 blocking effect precipitate asthma